8 year old boy has itchy rash all over the body, all family members are affected. What is the drug of choice
1. lvermectin
2. Topical permethrin
3. Prednisolone
4. Antibiotics

Correct answer: 2. Topical permethrin

Explanation: Itchy rash all over the body with family history is suggestive of scabies all the family members should be treated with topical permethrin 5% cream. iadvl textbook of dermatology pag 459